Latex agglutination test in CSF is done for detection of:
1. Cryptococcus
2. E.Coli
3. Tuberculosis
4. Coxsackie

Correct answer: 1. Cryptococcus

Explanation: Latex agglutination tests can detect antigens of encapsulated organisms (S. pneumoniae, H. influenzae, N. meningitidis, and Cryptococcus neoformans) but are rarely used Except for detection of Cryptococcus or in partially treated patients. RTPCR of CSF has been used to detect bacteria (S. pneumoniae, H. influenzae, N. meningitidis, M. tuberculosis) and viruses (HSV, VZV, CMV, EBV, and enteroviruses) in patients with meningitis.